a sewer worker comes with high grade fever neck rigidity and signs of mengismus.lab findings suggestive of renal failure and elevated liver enzymes.what is your diagnosis
1. leptospirosis
2. borellia recurrentis
3. diptheria
4. plague

Correct answer: 1. leptospirosis

Explanation: Weil's Syndrome * Weil's syndrome is a severe form of leptospirosis that causes a continuous fever, stupor, and a reduction in the blood's ability to clot, which leads to bleeding within tissues. Blood tests reveal anaemia. By the third to sixth day, signs of kidney damage and liver injury appear. Kidney abnormalities may cause blood in the urine and painful urination. Liver injury tends to be mild and usually heals completely. ref : ananthanaryana 9th ed